When glucose concentration in blood increases, there is linear increase in?
1. Insulin
2. Glucagon
3. Growth Hormone
4. Cortisol

Correct answer: 1. Insulin

Explanation: Ans. is 'a' i.e., Insulin* When blood glucose concentration increases, glucose enters into pancreatic b cells. Glucose goes through glycolysis and citric acid cycle in b cells. ATP is generated. ATP closes K+ channels. This causes depolarization of pancreatic b cells. Depolarisation and the resultant action potential opens up voltage gated calcium channels. Entry of calcium ions causes exocytosis of insulin release* Glucagon, Growth Hormone and cortisol are counter regulatory hormones of Insulin. Hence, in hyperglycemia, release of these hormones is inhibited. This is why, to stimulate Growth Hormone release, Insulin is given. (As a part of stimulation test done to detect hypopituitarism)* Other changes that happen linearly with increase in blood glucose# Increase in the rate of* Glycolysis* Glycogen synthesis* Fatty acid synthesis* Triacylglycerol synthesis* Protein synthesis# Increase in the rate of filtration of glucose# Increase in the rate of reabsorption of glucose till renal threshold of glucose is reached. Renal threshold for glucose is 180 mg/dL. Beyond 180mg/dL, if there is increase in blood glucose concentration, rate of reabsorption of glucose along the renal tubules cannot be increased and glucose is found in urine.